All are true about P-value except
1. Is the probability of committing Type-I error
2. When P-value is less than a, the result is statistically significant
3. Is the chance that the presence of difference is concluded when actually there is none
4. Is equal to 1-b

Correct answer: 4. Is equal to 1-b

Explanation: • ‘Type I error is usually fixed in advance’ by the choice of level of significance employed in the test
• Type I error is more serious than Type II error
• Power of a test: 1 – b
– Is probability of rejecting a Null hypothesis when a predetermined clinically significant difference is indeed present
– Power can be increased by increasing the no. of subjects in a trial